Which of the follow ing is not a chest radiographic feature of left atrial enlargement?
1. Double left heart border
2. Elevated left main bronchous
3. Splaying of carina
4. Enlargement of left atrila appendage

Correct answer: 1. Double left heart border

Explanation: Ans. is 'a' i.e., Double left heart border Ref: Sutton 7th/ep. 280; 350]Sings of left atrial enlargementStraightening of left heart border (due to enlargement of left atrial appendage).Elevation of left main bronchus with widening (Splaying) of carina.Double density (atrial) sign.Posterior displacement of esophagus on barium swallow.Prominent posterosuperior part of cardiac shadow.